A person has been referred to you by the court. You find a discrepancy between the history and examination findings. Which of these conditions you should be aware of in this situation?
1. Malingering
2. Factitious disorder
3. Somatization syndrome
4. Dissociative fugue

Correct answer: 1. Malingering

Explanation: Referral by court of law Discrepancy in complaints and objective findings Lack of cooperation by patients during evaluation and treatment. All these features are suggestive of Malingering It is not a psychiatric disorder Person willfully produces symptom for conscious , External incentives like financial ,avoiding tough job. In Factitious disorder, there is willful production of symptoms only to get medical attention In somatization disorder there is presence of somatic symptoms In dissociative fugue, there is sudden , unexpected travel with loss of past memories